Precocious puberty may be seen in all of the following conditions except:
1. Granulosa - cell tumour
2. Head - injury
3. Corticosteroid intake
4. Hyperthyroidism

Correct answer: 4. Hyperthyroidism

Explanation: Hypothyroidism and not hyperthyroidism cause precocious puberty.

In hypothyroidism
     ↓
↑TSH
     ↓
Stimulation of FSH
     ↓
Precocious puberty
If precocious puberty is associated with delayed bone age it suggests primary hypothyroidism